Rigor mortis start in -
1. Eyelids
2. Heart
3. Voluntary muscles
4. Limbs

Correct answer: 2. Heart